Metroplasty is a plastic/ reconstructive surgery on:
1. Fallopian tube
2. Vagina
3. Uterus
4. Ovary

Correct answer: 3. Uterus

Explanation: Ans. C i.e. Uterus